Botryomycosis is a ..................... disease
1. Fungal
2. Bacterial
3. Viral
4. Parasitic

Correct answer: 2. Bacterial